CD-99 is for
1. A. Ewing's sarcoma
2. B. Sll
3. C. Dermatofibroma protrubens
4. D. Malignant histocytic fibroma

Correct answer: 1. A. Ewing's sarcoma

Explanation: CD 99 is a marker associated with the diagnosis of Ewing's sarcoma Granulosa cell tumor is also often found to be associated to CD 99